Tolbutamide acts by increasing:
1. Insulin receptors
2. Glucose entry
3. Glucose absorption
4. Insulin secretion

Correct answer: 4. Insulin secretion